Which step in translation is inhibited by Tetracycline in prokaryotes?
1. Initiation
2. Binding of aminoacyl-tRNA to the "A" site on the ribosome
3. Peptide-bond formation
4. Translocation

Correct answer: 2. Binding of aminoacyl-tRNA to the "A" site on the ribosome

Explanation: Binding of aminoacyl-tRNA to the A sitea. The mRNA codon at the A site determines which aminoacyl-tRNA will bind.(1). The codon and the anticodon bind by base-pairing that is antiparallel (see Figure below).(2). Internal methionine residues in the polypeptide chain are added in response to AUG codons. They are carried by tRNAmMet , a second tRNA specific for methionine, which is not used for initiating protein synthesis.b. An elongation factor (EF-Tu in prokaryotes and eEF-1 in eukaryotes) and hydrolysis of GTP are required for binding.Tetracycline prevents aminoacyl-tRNA from binding to the "A" site on the ribosome. Streptomycin prevents the formation of the initiation complex, and erythromycin blocks translocation. Chloramphenicol will block peptide-bond formation in prokaryotic cells.Antiparallel binding of aminoacyl-tRNA to mRNA.